The most common sensitive causative organism for Traveller's diarrhoea is rpt
1. E. coli
2. Shigella
3. Norwalk virus
4. Rotavirus

Correct answer: 1. E. coli

Explanation: Traveller's diarrhoea is diarrhoea that develops during, or shortly after, travel abroad. It is caused by eating food, or drinking water, contaminated by germs (microbes) including bacteria, viruses and parasites. Mainly caused by E.coli. Textbook of microbiology, Ananthanarayan and Paniker